Commonest presentation of bilateral ureteric stones ?
1. CRF
2. UTI
3. Pain
4. Hematuria

Correct answer: 3. Pain

Explanation: Ans. is 'c' i.e., Pain